Elastic cartilage is found in?
1. Tracheal cartilage
2. Auricular cartilage
3. Articular disc
4. Bronchi

Correct answer: 2. Auricular cartilage

Explanation: It forms skeletal basis of auricle Inderbir Singh's textbook of human Histology Seventh edition Pg no85